DOC for Trichomonas vaginalis ?
1. Metronidazole
2. Ampicillin
3. Cotrimoxazole
4. None of the above

Correct answer: 1. Metronidazole

Explanation: Simultaneous treatment of both partners is recommended as it is an STD. Metronidazole 2 g orally as a single dose or 500 mg orally twice a day for 7 days is the drug of choice. In patients not responding to treatment with standard regime, the dose of metronidazole may be increased or it may be administered parenterally. In pregnancy, metronidazole is safe in 2nd and 3rd trimesters.